Which of the following is secreted by pineal gland?
1. Melanin
2. Melatonin
3. ANP
4. GH

Correct answer: 2. Melatonin

Explanation: Ans. B. MelatoninPineal gland secretes melatonin and several other similar substances. Either melatonin, or one of the other substances then passes either by the way of the blood, or through the fluid of the third ventricle to the anterior pituitary gland to control gonadotropic hormone secretion.